Which of the following occupy field H2 of Forel?
1. Ansa lenticularis
2. Fasciculus thalamicus
3. Fasciculus subthalamicus
4. Fasciculus lenticularis

Correct answer: 4. Fasciculus lenticularis

Explanation: Fields of Forel

It is an area in the deep part of the diencephalon.
It is below the thalamus.
Contains three defined white matter areas of the subthalamus.